Features of cafe au lait spots are all Except
1. Larger
2. Arise independent of sun exposure
3. Contain aggregates of melanosomes
4. Most common pigmented lesion

Correct answer: 4. Most common pigmented lesion

Explanation: They are caused by a collection of pigment-producing melanocytes in the epidermis of the skin. These spots are typically permanent and may grow or increase in number over time. Cafe au lait spots are often harmless but may be associated with syndromes such as neurofibromatosis type 1 and McCune-Albright syndrome. Ref img